Sarcomere extends between
1. A band & I band
2. Two Z lines
3. Two I bands
4. None

Correct answer: 2. Two Z lines

Explanation: The area between two adjacent Z lines is called a sarcomere. The thick filaments are lined up to form the A bands, whereas the array of thin filaments extends out of the A band and into the less dense staining I bands.(REF.GANONG'S REVIEW OF MEDICAL PHYSIOLOGY -23rd EDITION. Page No-95.)